Collecting duct has which cells -
1. Principle and intercalated
2. Parietal and oxyntic
3. Lac is cells
4. Podocytes

Correct answer: 1. Principle and intercalated

Explanation: Ans. is 'a' i.e.. Principle and intercalatedo Collecting duct is 20 mm long and pass through the renal cortex and medulla to empty- into the pelvis of the kidney at the apex of the medullary pyramids. The epithelium of the collecting ducts is made up of two types of cell: -Principal cells (P cells), which are involved in Na+ reabsorption and ADH stimulated water reabsorption.Intercalated cells (I cells) which are concerned with acid (H+) secretion and HCO3 transport.